Aromatase enzyme
1. Converts estrogen to androgen
2. Converts androgen to estrogen
3. Helps in maintaining normal placental blood flow
4. Converts testosterone to dihydrotestosterone

Correct answer: 2. Converts androgen to estrogen

Explanation: Aromatase enzyme converts androgens to estrogens.5a-Reductase converts testosterone to dihydrotestosteroneAromatase inhibitors block the function of the aromatase enzyme that converts androgens to estrogens. Aromatase inhibitors, including letrozole, anastrozole, and exemestane, are highly effective for both adjuvant and metastatic treatment of breast cancer in postmenopausal subjects,5a-Reductase inhibitors like finasteride, dutasteride are used in BPHG&G 12e 1953